DT 104 strain belong to which of the following bacteria-
1. salmonella gallinarum
2. salmonella typhi
3. salmonella typhimurium
4. salmonella enteritis

Correct answer: 3. salmonella typhimurium